The mode of inheritance in hemophilia is _____________
1. Autosomal dominant
2. Autosomal recessive
3. X linked dominant
4. X linked recessive

Correct answer: 4. X linked recessive